MOST cases of leiomyomas are found in which of the following sites?
1. Intramurally in the cervix of the uterus
2. Intramurally in the fundus or body of the uterus
3. Submucosally in the cervix of the uterus
4. Submucosally in the fundus or body of the uterus

Correct answer: 2. Intramurally in the fundus or body of the uterus

Explanation: The vast majority of leiomyomas are found in the uterine fundus or body; with only 3% being found in the cervix. Of the leiomyomas in the fundus or body, 95% are intramural, with the remainder being located subserosally or submucosally. Ref: Gynecologic Pathology: A Volume in Foundations in Diagnostic Pathology Series By Marisa R. Nucci, Esther Oliva, M.D.